Prophylactic antibiotics to minimise SSI are given_____________?
1. 60 minutes before skin incision
2. 1-3 hours before skin incision
3. At time of surgical incision
4. Night before surgery for peaking of effect

Correct answer: 1. 60 minutes before skin incision

Explanation: Prophylactic antibiotic to minimize SSI are given 30- 60 minutes before skin incision / at the time of induction